Pharmocodynamics deals with:
1. Mode of excretion of a drug
2. Mechanism of action of a drug
3. Transport of drug across the biological membranes
4. Latency of onset

Correct answer: 2. Mechanism of action of a drug

Explanation: Ans. B: Mechanism of action of a drug Pharmacodynamics is the study of the physiological effects of drugs on the body or on microorganisms or parasites within or on the body and the mechanisms of drug action and the relationship between drug concentration and effect. Pharmacokinetics/PK, is a branch of pharmacology dedicated to the determination of the fate of substances administered externally to a living organism. It is applied mainly to drug substances, though in principle it concerns itself with all manner of compounds ingested or otherwise delivered externally to an organism, such as nutrients, metabolites, hormones, toxins.